Father of public health is which disease?
1. Tuberculosis
2. Cholera
3. Malaria
4. Plague

Correct answer: 2. Cholera

Explanation: Ans. (b) CholeraRef: K. Park 23rd ed./5* Father of public Health: John Snow, identified Cholera* Father of modern epidemiology: John Snow* Father of Medicine/first true epidemiologist: Hippocrates.